When extravasated urine passes from the superficial perineal space into the anterior abdominal wall, it is found immediately deep to which layer of the anterior abdominal walls?
1. Scarpa’s fascia
2. External oblique muscle
3. Internal oblique muscle
4. Transversus abdominis muscle

Correct answer: 1. Scarpa’s fascia

Explanation: The superficial perineal space is bound by Colle’s fascia, the fibrous portion of the superficial fascia. This layer of fascia is continuous with scarpa’s fascia, the fibrous portion of the superficial fascia of the anterior abdominal wall. Therefore, urine that is deep to Colle’s fascia will remain deep to scarpa’s fascia. The urine will spread in the plane between scarpa;s fascia and the external oblique layer.